Intracranial pressure is not raised during
1. Hyperventilation
2. Status epilepticus
3. Head injury
4. Subdural hematoma

Correct answer: 1. Hyperventilation

Explanation: Ans. is 'a' i.e., Hyperventilation * Hyperventilation is used as a treatment with raised intracranial pressure.* Hyperventilation causes decreased PaCO2 which subsequently leads to arterial vasoconstriction thus lowering cerebral blood flow (CBF), cerebral blood volume, and intracranial pressure.Causes of ICTi) Intracranial mass (tumor)ii) Intracranial bleed (e.g. subdural hematoma, intraventricular or intracerebral)iii) Subarachnoid hemorrhage (aneurysm rupture)iv) Encephalitis/meningitsv) Head injuryvi) Status epilepticusvii) Strokeviii) Hydrocephalus